According to GOTTLIB diffused atrophy of alveolar bone is:
1. Periodontitis
2. Cementopathia
3. Periodontosis
4. Gingivosis

Correct answer: 2. Cementopathia